Erb's point is:
1. C4, C5
2. C5, C6
3. C6, C7
4. C7, C8, T1

Correct answer: 2. C5, C6

Explanation: C5, C6